Most important inflammatory mediator -
1. TNF
2. IL2
3. Interferon
4. PAF

Correct answer: 1. TNF

Explanation: Ans. is 'a' i.e., TNF Note : Amongst the cytokins, TNF, IL-1 & IL-6 are most importent.